Most common cause of dementia is :
1. Vitamin B12
2. Parkinsonism
3. Alzheimer's disease
4. Road traffic accidents

Correct answer: 3. Alzheimer's disease

Explanation: Alzheimer's disease is the most common cause of dementia.